Leucocyte alkaline phosphatase (LAP) is raised in all except
1. Myelofibrosis
2. Essential thrombocythemia
3. Polycythemia
4. Chronic myeloid leukemia

Correct answer: 4. Chronic myeloid leukemia